Schizophrenia is characterised by A/E
1. Formal thought disorder
2. Delusion of reference
3. Waxy flexibility
4. Altered sensorium

Correct answer: 4. Altered sensorium

Explanation: D i.e. Altered Sensorium